Natural habitat of Schistosoma (blood flukes) ?
1. Veins of the urinary bladder
2. Portal & pelvic veins
3. Vesical plexuses
4. All of the above

Correct answer: 4. All of the above

Explanation: Ans. is 'd' i.e., All of the above